Foramen of Magendie is the central opening of
1. Lateral ventricle
2. 4th ventricle
3. 3rd ventricle
4. None

Correct answer: 2. 4th ventricle

Explanation: Foramen of magendie is an opening in the roof of 4th ventricle through which the cavity of ventricle communicates with the subarachnoid space of the cerebellomedullary cistern.(Ref: vishram Singh textbook of clinical neuroanatomy,2nd edition page 121)